Quarantine is related to -
1. Minimum incubation period
2. Maximum incubation period
3. Serial interval
4. Generation time

Correct answer: 2. Maximum incubation period

Explanation: Ans. is 'b' i.e., Maximum incubation period Ouarantine o Quarantine is defined as "the limitation offreedom of movement of such well persons or domestic animals exposed to communicable disease for a period of time not longer the longest incubation period of the disease in such manner as to prevent effective contact with those not exposed". o In simple words "Quarantine separates people who have been exposed to a specific illness (but are not yet sick and don't have symptoms)" from those not exposed". Why would one be quarantined ? Some infection can be transmitted even before a person knows he or she is sick or has any symptoms. How long would one be quarantined ? o The individual and often the entire family will stay at home until the risk of developing the disease or its symptoms is over that means maximum incubation period, because following exposure symptoms develop after incubation period. So, if after maximum incubation period for a specific disease, exposed person does not develop disease that means that person has not acquired infection and the person should be allowed to move. What if one is in quarantine and becomes ill ? o A quarantined person who develops symptoms associated with the disease in question should immediately contact his/her personal physician and local public health department. Once ill, the individual will be considered to be in isolation instead of quarnatine.